Which of the following is NOT true about ''Talipes equinovarus"?
1. Common in boys
2. Everted foot
3. Adducted forefoot
4. Plantar flexed ankle

Correct answer: 2. Everted foot

Explanation: Ans. b (Everted foot) (Ref. BDC vol. 2. /4th/162)Congenital Talipes Equinus Varus (club foot)Incidence: 1-2 cases per 1000 babies.Etiology:# Idiopathic# The risk of club foot is increased 20-fold if a first-degree relative has the condition, and there are examples of racial prevalence, for example among Polynesians.# More common in males (2:1)# Bilateral in 50% of cases.Clinical features# Hindfoot and forefoot are in equinus and varus.# Adducted forefoot# Plantar flexed ankle +.Treatment:Most babies with significant congenital talipes equinus varus (CTEV) undergo stretching and strapping, usually supervised by a physiotherapist. Alternative methods include serial casts or splints (Dennis Brown splint).Summary (Rx of CTEV):1 BirthCorrective manipulation2 <3 years ageSoft tissue release3 4-8 yearsEvan's operation (between 3-6 yrs = Lichtblau's operation)4 8-11 yearsWedge tarsectomy5 >12 yearsTriple arthrodesis (+- Dayer's osteotomy).